The capsule of the crystalline lens is thinnest at –
1. Anterior pole
2. Posterior pole
3. Equator
4. None

Correct answer: 2. Posterior pole

Explanation: Capsule is thickest at → Pre-equator regions.
Capsule is thinnest at →Posterior pole.